All are true about prognosis of cholangiocarcinoma except
1. Scirrhous type has better prognosis than papillary
2. Major prognostic factors are margin status and tumor stage
3. Bile duct resection alone is associated with high chances of recurrence
4. Curative resection includes hepatic resection+bile duct resection + lymphadenectomy

Correct answer: 1. Scirrhous type has better prognosis than papillary

Explanation: Prognosis of cholangiocarcinoma Predictors of improved survival are : well-differentiated tumors, negative - resection margin and the performance of a concomitant hepatic resection. Pattern of failure after curative resection includes peritoneal spread, hepatic metastasis, local extrahepatic recurrence and distant metastasis (most commonly lung) Surgery is generally not indicated for recurrent cholangiocarcinoma Sclerosing or scirrhous type is most difficult to treat Ref: Sabiston 20th edition Pgno :1514-1518